All the follow ing are used in theTreatment of Enuresis except
1. Desmopressin
2. Imipramine
3. Nortrptiline
4. Spironolactone

Correct answer: 4. Spironolactone

Explanation: (D) Spironolactone# Enuresis:> Primary Nocturnal Enuresis (PNE) is when a child has not yet stayed dry on a regular basis. Secondary Nocturnal Enuresis is when a child or adult begins wetting again after having stayed dry.> Treatment options with high success rates> Waiting Almost all children will outgrow bedwetting. For this reason, urologists and pediatricians frequently recommend delaying treatment until the child is at least six or seven years old.> Bedwetting alarms Physicians also frequently suggest bedwetting alarms which sound a loud tone when they sense moisture. This can help condition the child to wake at the sensation of a full bladder.> DDAVP (Desmopressin) Desmopressin tablets are a synthetic replacement for antidiuretic hormone, the hormone that reduces urine production dur ng sleep. Desmopressin is usually used in the form of Desmopressin acetate, DDAVP. Patients taking DDAVP are 4.5 times more likely to stay dry than those taking a placebo. The drug replaces the hormone for that night with no cumulative effect.> Tricyclic antidepressants Tricyclic antidepressant prescription drugs with anti-muscarinic properties have been proven successful in treating bedwetting, but also have an increased risk of side effects. These drugs include Amitriptyline, Imipramine and Nortriptyline.